KF ring has deposition of which of the following in the Descemet’s membrane?
1. Copper
2. Arsenic
3. Iron
4. Mercury

Correct answer: 1. Copper

Explanation: Kayser-Fleischer (KF) ring → Copper deposition in Chalcosis or Wilson’s disease Fleischer ring
→ Deposition of iron and is a sign of keratoconus